According to school health services recommendations, a school should have -
1. 1 urinal\/ 60 children and 1 privy for 100 children
2. 1 urinal\/ 80 children and 1 privy for 150 children
3. 1 urinal\/ 100 children and 1 privy for 100 children
4. 1 urinal\/ 100 children and 1 privy for 200 children

Correct answer: 1. 1 urinal\/ 60 children and 1 privy for 100 children

Explanation: Provides and urinal should be provided, one urinal for 60 students and one latrine for 100 students. REF. PARK'S TEXTBOOK OF PREVENTIVE AND SOCIAL MEDICAL 21ST EDITION. PAGE NO - 534